All are true about Sjogren syndrome except
1. Interstitial nephritis
2. Subcutaneous fibrosis
3. Lack of tear
4. Xerostomia

Correct answer: 2. Subcutaneous fibrosis

Explanation: Ref - Davidsons 23e p1039